Collagen synthesis requires which of the following vitamin?
1. Vitamin A
2. Vitamin D
3. Vitamin E
4. Vitamin C

Correct answer: 4. Vitamin C

Explanation: Vitamin Functions Deficiency Disease C Coenzyme in hydroxylation of proline and lysine in collagen synthesis Antioxidant Enhances absorption of iron Scurvy--impaired wound healing, loss of dental cement, subcutaneous hemorrhage Reference: Harper; 30th edition; Page no: 550